Purandre's cervicopexy done in :
1. Incompetent cervix
2. Elongated cervix
3. Missed IU device
4. Congenital prolapse of uterus

Correct answer: 4. Congenital prolapse of uterus

Explanation: Congenital prolapse of uterus